In the immediate postoperative period, the common cause of respiratory insufficiency could be because of the following except:
1. Residual effect of muscle relaxant
2. Overdose of narcotic analgesic
3. Mild hypovolemia
4. Myocardial infarction

Correct answer: 3. Mild hypovolemia

Explanation: Ans. (c) Mild hypovolemia(Ref: Bailey 26/e p15)Immediate post op Dyspnea:* MI* Heart failure* Pulmonary embolism* Exacerbation of COPD/asthma